Albinism is a genetic disease that results in
incomplete metabolism of:
1. Histidine
2. Cystine
3. Tyrosine
4. Alanine

Correct answer: 3. Tyrosine